Flash back is seen in
1. flunitrazepam
2. LSD
3. toluene
4. anabolic androgenic steroids

Correct answer: 2. LSD

Explanation: Hallucinogens * ALSO CALLED AS Psychotomimetic/ Psychedelic * FIRST Man made HALLICINOGEN ==================== Albert Hoffman * MECHANISM OF ACTION Lysergic acid diethylamide=======serotonin * Introduced by Albert Hoffmann and he himself experienced its effects * Phencyclidine =======NMDA antagonist * Also known as angel dust * Related to ketamine=== dissociative anesthetic * Has anti-suicidal property PSYCHIATRIC RELEVANCE FLASHBACKS====== person even after weeks of using substance may experience the same hallucinations BAD TRIPS====== bad experiences during intoxication of the substance They tend to see hallucinations and monsters and are threatened by the images NEW CREATIVE CAPACITY PSYCHOLOGICAL INSIGHT TREATMENT= ANTIPSYCHOTICS Ref.Kaplon and Sadock, synopsis of psychiatry, 11 th edition, pg no.649